Glomus jugulare are seen in?
1. Hypotympanum
2. Promontory
3. Epitympanum
4. None of these

Correct answer: 1. Hypotympanum

Explanation: Ans. (a) HypotympanumRef: Dhingra 4th ed p. 107